True about Condyloma acuminata are all EXCEPT?
1. Associated with HPV
2. Can be transmitted sexually.
3. May be precancerous
4. Risk is reduced by use of oral contraceptives.

Correct answer: 4. Risk is reduced by use of oral contraceptives.

Explanation: Also called venereal warts, these are caused by the HPV. These warts spread diffusely over the whole of the vulval area and may appear discrete or coalesce to form large cauliflower-like growths. The growths are seen in women of the childbearing age and are mainly sexually transmitted. Vaginal discharge, oral contraceptives and pregnancy favour their growth. HPV 6, 16 and 18 are implicated in the development of condyloma acuminatum and cancers of the cervix and vulva. In older women it often persists and progresses to carcinoma in situ. Condyloma is associated with vulval, vaginal and cervical cancers in 20% cases.